Which of the following coagulation factors deficient in classical hemophilia?
1. VIII
2. IX
3. X
4. XII

Correct answer: 1. VIII